Oral lesions are rarely seen in:
1. AIDS
2. Tuberculosis
3. Syphilis
4. Leukemia

Correct answer: 2. Tuberculosis